Placido disc is used for
1. Uveitis
2. Keratoconus
3. Retinoblastoma
4. Retinal detachment

Correct answer: 2. Keratoconus

Explanation: It is a disc painted with alternating black and white circles. Used to assess the smoothness and curvature of corneal surface. It shows irregularity of circles in keratoconus. Ref khurana page no.126